Which of the following regarding cardiovascular changes in pregnancy is not true?
1. Increased Blood volume
2. Increased Heart rate
3. Increased cardiac output
4. Increased blood viscosity

Correct answer: 4. Increased blood viscosity

Explanation: Ref: Williams Obstetrics: 23rd edition & Dutta s Text Book of Obstetrics, 7th edition.Explanation:Cardiovascular changes that occur during pregnancy:Cardiac output increasesStroke volume increasesHeart rate increasesPeripheral vascular resistance decreasesPulmonary vascular resistance decreasesHemodilution of pregnancy:RBC volume increases by 30% and plasma volume increases by 55% compared to the non pregnant state. This results in hemodilution and reduced blood viscosity.Decreased blood viscosity ensures optimal gas exchange between maternal and fetal circulation and also protects mother against blood loss post delivery.Supine hypotension syndrome:Compression of inferior vena cava by the gravid uterus in supine position during pregnancy results in reduced venous return & reduced cardiac output leading on to hypotension.Hence, patient complains of giddiness. This is the reason why we advise rest in left lateral position during pregnancy.